Ladder pattern of DNA electrophoresis in apoptosis is caused by the action of:
1. Endonuclease
2. Transglutaminase
3. DNAse
4. Caspase

Correct answer: 1. Endonuclease

Explanation: . Endonuclease